PARULIS is an inflammatory enlargement seen in
1. End of sinus tract
2. Extraction socket
3. Due to irritation from calculus / over hanging restoration
4. None of the above

Correct answer: 1. End of sinus tract